Which of the following can be seen in SCID?
1. Autoimmune ds
2. Granuloma formation
3. GVHD
4. Graft rejection

Correct answer: 3. GVHD

Explanation: SCID (Severe Combined Immunodeficiency) Combined deficiency of B & T cells seen; so autoimmune ds, granuloma formation & graft rejection are absent GVHD which is due to immune-competent cells attacking an immunosuppressed host can still be seen